Which of the following pathway occurs partly in mitochondria and partly in cytosol?
1. Glycolysis
2. Kreb's cycle
3. Ketogenesis
4. Urea cycle

Correct answer: 4. Urea cycle

Explanation: In mammals, the urea cycle takes place primarily in the liver, and to a lesser extent in the kidney. The urea cycle consists of five reactions: two mitochondrial and three cytosolic. The cycle converts two amino groups, one from NH4+ and one from Asp, and a carbon atom from HCO3-, to the relatively nontoxic excretion product urea at the cost of four "high-energy" phosphate bonds (3 ATP hydrolyzed to 2 ADP and one AMP). Ornithine is the carrier of these carbon and nitrogen atoms.Ref: DM Vasudevan, 7th edition, page no: 196,203,226